Ductus-dependent congenital heart lesions is a type of
1. Distributive shock
2. Obstructive shock
3. Hypovolaemic shock
4. Cardiogenic shock

Correct answer: 2. Obstructive shock

Explanation: Ductus dependent congenial cardiac lesions represent a decreased in cardiac output secondary to direct impediment to right- or left-heart outflow or restriction of all cardiac chambers. Ref:- Nelson's textbook of paediatrics